All of the following strategies are effective in preventing mother to child transmission of HIV, except-
1. Zidovudine to mother & baby
2. Vaginal cleansing before delivery
3. Stopping breast feeding
4. Elective caesarean section

Correct answer: 2. Vaginal cleansing before delivery

Explanation: Ans. is 'b' i.e., Vaginal cleansing before delivery Methods to prevent vertical transmission a) Antiretroviral prophylaxis? Vertical transmission can be prevented substantially by giving antiretroviral therapy to mother and early prophylaxis to newborn. b) Caesaren delivery - Elective caesarean section reduces the risk of transmission by 50% in women with or without ZDV treatment. c) Breast feeding - Because breast milk can carry the virus, breast feeding by HIV infected mothers is contraindicated. However Dutta/obs writes ? "In the developing world, where alternative forms of infant nutrition are not safe, minor risk associated with breast feeding may be accepted. Mother is counselled as regards the risk and benefits. She is helped to make an informed choice." HAV HBV HCV HDV BEV o Virology RNA DNA RNA RNA RNA o Incubation 15-45 30-180 15-160 30-180 14-60 o Transmission i) Parentral Rare Yes Yes Yes No ii) Feco-oral Yes No No No Yes iii) Sexual No Yes Rare Yes No iv) Perinatal No Yes Rare Yes No o Chronic infection No Yes Yes Yes No o Fulminent disease Rare Yes Rare Yes Yes